T/t used for lower ureteric stone is:
1. Endoscopic removal
2. Diuretics
3. Drug dissolution
4. Laser

Correct answer: 1. Endoscopic removal

Explanation: Answer is A (Endoscopic removal): Stones in the lower part of ureter within 5-6 cm of ureteric orifice (that are small in size) are best managed by Ureteroscopic (Endoscopic) removal.